NSAIDs are used in all except -
1. As analgesic
2. In peptic ulcer
3. R.A.
4. O.A.

Correct answer: 2. In peptic ulcer

Explanation: Ans. is 'b' i.e., Peptic ulcer o Peptic ulcer is a contraindication.